Bone Density is best studied by –
1. CT scan
2. DEXA scan
3. MRI scan
4. Bone scan

Correct answer: 2. DEXA scan

Explanation: DEXA scan is the gold standard test for screening of bone density (to rule out asteoporosis).